Skin over thenar eminence is supplied by:
1. Radial Nerve
2. Median Nerve
3. Ulnar Nerve
4. Anterior Interosseus Nerve

Correct answer: 2. Median Nerve

Explanation: Ans. B. Median NerveMedian nerve innervate skin on the palmar surfaces of the lateral three and one-half digits and adjacent palm as well as cutaneous regions over the dorsal aspects of the distal phalanges (nail beds) of the same digits.Ulnar nerve supply skin on the palmar & dorsal surface of the little finger and the medial half of the ring finger & adjacent palm.Superficial branch of radial nerve provides cutaneous innervations to 1) lateral 2/3rd of dorsum of hand 2) dorsum of index finger, middle finger and lateral half of ring finger over proximal and middle phalanx.